Features considered under Reid colposcopic index are all except
1. Margin
2. Color
3. Vessels
4. Floor

Correct answer: 4. Floor

Explanation: Colposcopic signs:
→ Margin
→ Color
→ Vessels
→ Iodine staining.